The cross linking agent of polysulphide rubber base impression material is
1. Aromatic sulfonate esters
2. Stannous octate
3. Platinum salt catalyst
4. Lead dioxide

Correct answer: 4. Lead dioxide